The term TUG BACK is used to indicate
1. Good fit of accessory gutta-percha point at the apical third
2. Good fit of master gutta-percha point at the apical third
3. Good fit of accessory cone in the main body of the canal
4. Good fit of the initial file at the apical third

Correct answer: 2. Good fit of master gutta-percha point at the apical third